For resuscitation in burn shock the following transfusion is advised
1. Plasma
2. Packed cell volume
3. Whole blood volume
4. Crystalloids & Colloids

Correct answer: 4. Crystalloids & Colloids

Explanation: (D) Crystalloids & Colloids # Both crystalloid and colloid solutions are equally effective in restoring cardiac output and intravascular volume.> PARKLANDS formula for total fluid requirement in 24 hrs; 4 ml *TBSA%* body weight in kgs: 50% give in first 8 hrs